Beaded margin of eyelid is seen in:
1. Erythema granuloma annulare
2. Leprosy
3. Granuloma annulare
4. Lipoid proteinosis

Correct answer: 4. Lipoid proteinosis

Explanation: Lipoid proteinosis REF: http : //en. wikipedia org/wiki/U rbach%E2 %80%93Wiethe_disease "Urbach--Wiethe disease (also known as lipoid proteinosis and hyalinosis cutis et mucosae) is a rare autosomal-recessive disorderwith fewer than 300 reported cases since its discovery, that presents in early childhood with hoarseness, skin infiltration, and thickening, with beaded papules on eyelid margins, and facial acneiform or pock-like scars"